Isoniazid child dose in DOTS regimene (RNTCP)-
1. 10-15 mg/kg/dg
2. 15-20mg'kg'dg
3. 20-25 mg/kg/dg
4. 5-10mg'kg'dg

Correct answer: 1. 10-15 mg/kg/dg

Explanation: Ans. is 'a' i.e., 10 -15 mg/kg/dgTreatment scheduleCategory-1:Newly diagnosed sputum positive pulmonary tuberculosisSputum negative pulmonary tuberculosis with extensive parenchymal involvement,Severe form of extrapulmonary tuberculosisCategory-2 :#Treatment failure casesRelapse casesReturn after interruptionCategory-3# sputum negative pulmonary tuberculosis with minimal involvementLess severe form of extrapulmonary tuberculosisDrug Regimen# Category- 1: 2 (H3 R3 Z3 E3) 4 (H3 R3)# Category- 2: 2 (S3 H3 R3 Z3 E3) + 1 (H3 R3 Z3 E3) 5 (H3 R3 E3) # Category- 3: 2 (H3 R3 Z3) 4 (H3 R3)DrugDose in mg thrice a week) in adultsDose in mg per kg bodyweight (thrice a week) in childrenIsoniazid60010-15Rifampiein45010Pyrazinamide150035Ethambutol120030Streptomycin75015